Renal angle lies between -
1. 12th rib & lateral border of sacrospinalis
2. 11th rib & lateral border of sacrospinalis
3. 12th rib & lateral border of quadratus lumborum
4. 11th rib & lateral border of quadratus lumborum

Correct answer: 1. 12th rib & lateral border of sacrospinalis

Explanation: The angle between the lower border of 12th rib and the outer border of erector spinae (sacrospinalis) is known as a renal angle.